A diabetic male with red, tender & painful swelling on right buttock with multiple discharging points. Swelling is hard and indurated. There is high grade fever with malaise. Most likely diagnosis is?
1. Folliculitis
2. Furuncle
3. Carbuncle
4. Impetigo

Correct answer: 3. Carbuncle

Explanation: Ans. is 'c' i.e., Carbuncle * Points in favor are - diabetic patient, painful and tender swelling with induration, multiple discharging points and high grade fever.* Most important finding indicating towards diagnosis is multiple discharging points as all other findings may be associated with furuncle also but in furuncle discharge is generally from a single point at follicular opening. And fever is of mild grade in furuncle.